Which of the following binds to viral envelope glycoprotein preventing the conformational changes required for the fusion of viral and cellular membranes ?
1. Abacavir
2. Indinavir
3. Enfuvirtide
4. Oseltamivir

Correct answer: 3. Enfuvirtide